Crew haircut appearance in X-ray skull and Gandy gamma bodies are seen in -
1. G-6-PD deficiency
2. Hodgkin's lymphoma
3. Hereditary spherocytosis
4. Sickle cell anaemia

Correct answer: 4. Sickle cell anaemia